Left ovarian vein drains into:
1. Common iliac vein
2. Left renal vein
3. Inferior vena cava
4. Internal iliac vein

Correct answer: 2. Left renal vein

Explanation: Ovarian vein/ Female gonadal veinIt carries deoxygenated blood from its corresponding ovary to inferior vena cava or one of its tributariesIt is the female equivalent of the testicular vein, and is the venous counterpart of the ovarian artery.It can be found in the suspensory ligament of the ovaryIt is a paired vein, each one supplying an ovary.- The right ovarian vein travels through the suspensatory ligament of the ovary and generally joins the inferior vena cava.- The left ovarian vein, unlike the right, often joins the left renal vein instead of the inferior vena cava.